A dead body with suspected poisoning is having hypostasis of red brown or deep blue in colour. It is suggestive of poisoning due to-
1. Nitrates
2. Carbon monoxide
3. Cyanides
4. Barbiturates

Correct answer: 1. Nitrates